All of the following is true of facial nerve except:
1. Supplies motor branches to the muscles of facial expression
2. It has no sensory component
3. The muscles of the eyelid will be spared in upper motor neuron lesions
4. It is a nerve of 2nd arch

Correct answer: 2. It has no sensory component